Cause of acute abdomen in pregnancy are all except :
1. Abortion
2. Placenta praevia
3. Preterm labour
4. Appendicitis

Correct answer: 2. Placenta praevia

Explanation: Obstetric problems:Abortion,ectopic pregnancy,abruption acute hydramnios,preterm labour,severe preeclampsia. Gynaecological: Torsion of ovarian cyst,Red degeneration of fibroid Surgical: Acute appendicitis,Acute cholecystitis,volvulus. Medical:Acute pyelo nephritis,acute cystitis. TEXT BOOK OF OBSTETRICS,Sheila Balakrishnan,2nd edition,page no.334